In hypersmolar hyperglycemic non ketotic coma the blood glucose level is around -
1. 55mmol\/l
2. 20mmol\/l
3. 80mmol\/l
4. 5mmol\/l

Correct answer: 1. 55mmol\/l

Explanation: The laboratory features in HHS are marked hyperglycemia (plasma glucose may be >55.5 mmol/L ), hyperosmolality (>350 mosmol/L), and prerenal azotemia. In contrast to DKA, acidosis and ketonemia are absent or mild. Reference : page 2420 Harrison's Principles of Internal Medicine 19th edition